A ventricular aneurysm has one of the following characteristic features
1. Persistent ST elevation
2. Persistent ST depression
3. Left bundle branch block
4. Right bundle branch block

Correct answer: 1. Persistent ST elevation

Explanation: left ventricular aneurysm can be diagnosed on ECG when there is persistent ST segment elevation occurring 6 weeks after a known transmural myocardial infarction (usually an anterior MI). Without knowing the past medical history, the ECG changes of an aneurysm may mimic an acute anterior MI. Ref Davidson 23rd edition pg 465